Which muscle is intorter of eye
1. Inferior oblique
2. Inferior rectus
3. Superior rectus
4. Medial rectus

Correct answer: 3. Superior rectus

Explanation: Actions of extraocular muscles : Muscle Primary Secondary Tertiary action action action LR Abduction -- -- SR Elevation Intorsion Adduction IR Depression Extorsion Adduction SO Intorsion Depression Abduction IO Extorsion Elevation Abduction Ref;A.K.Khurana ; 6th edition; Page no:339